A 20 Year old woman, gravida 2, para 0, aboa 1, comes to the outpatient clinic for a prenatal visit. She is currently at 30 weeks gestation confirmed by an 18 week USG that showed a single fetus with size appropriate for dates. She states that the fetus is moving well. Pregnancy weight gain is 9 Kg to date. Her fundal height today measures 25cm. Fetal heart sounds are heard in the right upper quadrant. An obstretic USG examination reveals a 4-quadrant amniotic fluid index of 4cm. Which of the following condition is most likely associated with this scenario?
1. Duodenal atresia
2. Open spina bifida
3. Tracheoesophageal fistula
4. Renal agenesis

Correct answer: 4. Renal agenesis

Explanation: This is a case of Oligohydramnios. Amniotic fluid deficiency occur with decreased production or excessive removal of fluid. A serious consequence of Oligohydramnios is umbilical cord compression leading to fetal hypoxia. (amniotic fluid index) The only option here that leads to Oligohydramnios is Renal agenesis. USG criteria include AFI less than 5 cm or a maximum vertical single amniotic fluid pocket of less than 2 cm. Polyhydramnios is found with each of the other options.